Which one of the following local anaesthetic is highly cardiotoxic –
1. Lignocaine
2. Procaine
3. Mepivacaine
4. Bupivacaine

Correct answer: 4. Bupivacaine

Explanation: Bupivacaine is the most cardiotoxic local anaesthetic.